An oblique fracture of olecranon, if displaced proximally. The treatment is:
1. Excision & resuturing
2. Tension band wiring
3. Nailing
4. Elbow is immobilized by cast

Correct answer: 2. Tension band wiring

Explanation: Ans: b (Tension band wiring)Ref: Maheshwari Ortho, 3rded, p. 88